All of the following are true about break point chlorination, except -
1. Free chlorine is released in water after break point chlorination
2. Chlorine demand is the amount needed to kill bacteria, oxidize organic matter neutralize ammonia
3. 1 ppm free chlorine should be present in water after break point has reached
4. Contact period of 1 hour is necessary

Correct answer: 3. 1 ppm free chlorine should be present in water after break point has reached

Explanation: The point at which the residual chlorine appears and when all combined chlorines have been completely destroyed is the breakpoint and the corresponding dosage is the breakpoint dosage. The breakpoint chlorination achieves the same result as superchlorination in a rational manner and therefore be constructed as controlled superchlorination (refer pgno:775 park 25th edition)